Secondaries are common in a/e
1. Skull
2. Hand & feet bones
3. Proximal limb bones
4. Pelvic

Correct answer: 2. Hand & feet bones

Explanation: Secondary cancers in the bone might also be called bone secondaries.Bone secondaries often develop in different bones in the body, and not all secondaries will cause symptoms or problems. Although any type of cancer can spread to the bone, the most common types that do are cancers of the: breast. Refer robbins 9/e breast